Otosclerosis mostly affects:
1. Malleus
2. Stapes
3. Incus
4. Tympanic membrane

Correct answer: 2. Stapes

Explanation: Otosclerosis is caused by immobility of the stapes. Its most distinctive feature is conductive hearing loss, but sensorineural hearing loss and vertigo are also common; tinnitus is infrequent. Otosclerosis is suggested by a positive family history, a tendency toward onset at an earlier age, the presence of conductive hearing loss, or bilateral symmetric auditory impairment Treatment with a combination of sodium fluoride, calcium gluconate, and vitamin D may be effective. If not, surgical stapedectomy should be considered.